Which of the following analgesics should not be given in acute MI ?
1. Methadone
2. Morphine
3. Buprenorphine
4. Pentazocine

Correct answer: 4. Pentazocine